The first plasma protein to be generated after severe protein deficiency
1. Albumin
2. Globulin
3. Fibrinogen
4. Thrombin

Correct answer: 3. Fibrinogen